Commonest cause of postpartum hemorrhage In multipara is:
1. Fibroid
2. Retained placenta
3. Uterine atony
4. Uterine perforation

Correct answer: 3. Uterine atony

Explanation: Uterine atony